Black eye is a type of -
1. Patterend abrasion
2. Ectopic abrasion
3. Ectopic bruise
4. Friction abrasion

Correct answer: 3. Ectopic bruise

Explanation: The synopsis of forensic medicine & toxicology ; Dr k.s.narayan reddy ; 28th edition ; Pg .no . 107 Black eye is the most common example for ectopic bruising or percolated contusion .